A person presents with involvement of kidney and respiratory tract infection with granuloma formation. Most probable diagnosis is?
1. Wagner's granulomatosis
2. Goodpasture syndrome
3. Tuberculosis
4. Sarcoidosis

Correct answer: 1. Wagner's granulomatosis

Explanation: ANSWER: (A) Wagner's granulomatosisREF: Harrison's Principles of Internal Medicine 17th ed chapter 319See previous question for explanation